Duodenal ulcer, true statement is -
1. Never Malignant
2. Most-common site is IInd part
3. Common in blood group AB
4. GI bleed not seen

Correct answer: 1. Never Malignant

Explanation: Answer- A. Never MalignantDuodenal ulcer is more common in persons with blood group'O', i.e., containing no AB antigens with blood group'O" i'e"containing no AB antigens.Bleeding is more common in duodenal ulcer than in gastric ulcer.